Least likely to be Pre-leukemic condition is ?
1. Paroxysmal nocturnal hemoglobinuria
2. Paroxysmal cold hemoglobinuria
3. Aplastic anemia
4. Myelodysplastc syndrome

Correct answer: 2. Paroxysmal cold hemoglobinuria

Explanation: Ans. is 'b' i.e., Paroxysmal cold hemoglobinuria Conditions predisposing to acute leukemia o Myelodysplastic syndrome o Chronic myeloproliferative disorders o Ionizing radiation & certain toxic chemicals o Bloom syndrome o Fanconi anemia o Paroxysmal nocturnal hemoglobinuria o Li-Fraumani syndrome o Diamond - Blackfan anemia o Ataxia telangiectasia Down syndrome Klinefelter's syndrome o Neurofibromatosis o Aplastic anemia (rarely) Schwachman syndrome Turner syndrome